Bartonella heaselae causes all except -
1. Oroya fever
2. Cat scratch disease
3. Bacillary angiomatosis
4. SABE

Correct answer: 1. Oroya fever

Explanation: Ans. is 'a' i.e., Oroya fever Bartonella henselae causes Cat scratch disease (Afipia felis also causes cat scratch disease) Bacillary angiomatosis (B. quintana also causes angiomatosis) Bacillary peliosis Bacteremia Endocarditis (SABE) Oroya fever is caused by Bartonella bacilliformis.